Best method of treatment for segmental trichiasis
1. Epilation
2. Electrolysis
3. Cryoepilation
4. Argon laser destruction

Correct answer: 3. Cryoepilation

Explanation: Cryoepilaion
Cryoprobe with -20oc is applied for 20-25 seconds.